A 2-year-old child with severe dehydration has sudden-onset Gross Hematuria with a unilateral flank mass. The most likely diagnosis is
1. Renal vein thrombosis
2. Hemolytic syndrome
3. Wilm's tumor
4. Hydronephrosis

Correct answer: 1. Renal vein thrombosis